Which is true about treatment of hypertensive crisis with encephalopathy in a patient with a pheochromocytoma.
1. Immediate surgical removal of the mass is indicated
2. High-dose phenoxybenzamine should be used to control the blood pressure with surgery in 24 to 48 hours
3. Treatment with phentolamine should be started with low-dose phenoxybenzamine to be titrated upward. Surgery should be done in 2 to 3 weeks once blood pressure is below 160/100 mmHg
4. Beta blockade is contraindicated

Correct answer: 3. Treatment with phentolamine should be started with low-dose phenoxybenzamine to be titrated upward. Surgery should be done in 2 to 3 weeks once blood pressure is below 160/100 mmHg

Explanation: Option A- Not done as the patient may require pre-operative or intra-operative management. Option C > option B- As first we will stabilize the patient and then surgery can be done post stabilizing the patient. Option D- b is given but only after a Only after a blocker